Enzyme defect in Classic Phenylketonuria
1. Phenylalanine hydroxylase
2. Dihydrobiopterin reductase
3. Fumarylacetoacetate hydrolase
4. Homogentisate oxidase

Correct answer: 1. Phenylalanine hydroxylase

Explanation: Hyperphenylalaninemias arise from defects in phenylalanine hydroxylase (type I, classic phenylketonuria (PKU), frequency 1 in 10,000 births), in dihydrobiopterin reductase (types II and III), or in dihydrobiopterin biosynthesis (types IV and V).Ref: Harper's Biochemistry; 30th edition; Chapter 29 Catabolism of the Carbon Skeletons of Amino Acids